NOT true about development dysplasia (DOH) of the hip is:
1. It is more common in females
2. Oligohydramnios is associated with a higher risk of DOH
3. The hourglass appearance of the joint capsule may prevent a successful closed reduction.
4. When the ossification center is in the lower medial quadrant, the hip is dislocated

Correct answer: 4. When the ossification center is in the lower medial quadrant, the hip is dislocated

Explanation: Ans. D. When the ossification center is in the lower medial quadrant, the hip is dislocatedDevelopmental dysplasia of the hip (DOH)a. The hip is a bail and socket joint with the bail (called the femoral head) coming from the top part of the femur (thigh bone) and the socket (called the acetabulum) coming from the pelvis.b. The cause is unknown, but genetic factors may play a role.c. Problem-is resulting from very mild developmental dysplasia of the hip may not become apparent until the person is in their 30's or 40's.d. One or both hips may be involved.e. Risk factors include being the first child, being female, obreech delivery, and a family history of the disorder.f. A hip radiograph is helpful in older infants and children. But, ultrasound of the hip remains the most important imaging study and will demonstrate hip deformity.g. When the ossification center is in the upper outer quadrant, the hip is dislocated.